The single most common cause of Neonatal meningitis is
1. Group B streptococcus
2. Haemophilus
3. Meningococcus
4. Mycobacterium

Correct answer: 1. Group B streptococcus

Explanation: (A) Group B streptococcus # Group-B streptococcus has assumed great clinical importance as the single most common cause of neonatal meningitis in the West.> Infection in the new born is classified as the early onset type occurring within a week of birth & the late onset type developing between the 2nd and 12th weeks of life.> More common early onset type presents as septicemia meningitis or pneumonia, and is often fatal> Infection is acquired from the maternal vagina during birth> In the late onset type, infection is more often obtained from the environment.